All of the following statements regarding vas deference are true, EXCEPT:
1. The terminal part is dilated to form ampulla
2. It crosses ureter in the region of ischial spine
3. It passes lateral to inferior epigastric artery at deep inguinal ring
4. It is separated from the base of bladder by the peritoneum

Correct answer: 4. It is separated from the base of bladder by the peritoneum

Explanation: There is no peritoneal layer between vas deferens and the bladder. Ref: Snell's Clinical Anatomy, 7th Edition, Page 378